Effect ot progesterone on lipids :
1. Lowers LDL, increases HDL
2. Lowers HDL and LDL
3. Lowers HDL & increases LDL
4. Increases LDL and HDL

Correct answer: 3. Lowers HDL & increases LDL

Explanation: Lowers HDL & increases LDL